Treatment of choice for medullary carcinoma of thyroid is:
1. Total thyroidectomy
2. Partial thyroidectomy
3. 1131 ablation
4. Hernithyroidectomy

Correct answer: 1. Total thyroidectomy